Moral treatment of the mentally ill patient was first stressed by -
1. Pinel
2. Morel
3. Kraeplin
4. Sigmund freud

Correct answer: 1. Pinel

Explanation: Moral and humane treatment of mentally ill patient was given by Phillipe Pinel.